Vasodilation is caused by all, EXCEPT:
1. Prostacyclin
2. Thromboxane A2
3. PGE1
4. PGD2

Correct answer: 2. Thromboxane A2

Explanation: Principal Inflammatory Actions of Arachidonic Acid Metabolites (Eicosanoids) ACTION EICOSANOIDS Vasodilation PGI2 (prostacyclin), PGE1, PGE2, PGD2 Vasoconstriction Thromboxane A2, leukotrienes C4, D4, E4 Increased vascular permeability Leukotrienes C4, D4, E4Ref: Robbins 8th edition Chapter 2.